Iron supplementation in a healthy term breast fed baby should be started at the age of -
1. 2 weeks
2. 4 weeks
3. 8 weeks
4. None

Correct answer: 4. None

Explanation: Ans. is NoneCorrect answer is 6 months.